Which of the following structures is derived from the telencephalon?
1. Pineal gland
2. Hypothalamus
3. Hippocampus
4. Optic nerve (CN II)

Correct answer: 3. Hippocampus

Explanation: The hippocampus develops from telencephalon. The pineal gland, hypothalamus, CN II, and globus pallidus are derived from the diencephalon.